Haascheiben cells in epidermis are responsible for?
1. Touch
2. Temperature
3. Pressure
4. Proprioception

Correct answer: 1. Touch

Explanation: Ans. is 'a' i.e., Touch